Which of the following local anesthetics is useful for topical administration only?
1. Procaine
2. Bupivacaine
3. Etidocaine
4. Benzocaine

Correct answer: 4. Benzocaine